Which of the following anesthetic agents is contraindicated in patients with hypertension?
1. Ketamine
2. Propofol
3. Etomidate
4. Diazepam

Correct answer: 1. Ketamine

Explanation: Ketamine produces a increase in both systolic and diastolic blood pressure in a dose dependent manner and thus it is mostly avoided in patients with a history of hypertension. Ref: Irwin and Rippe's Intensive Care Medicine 6th edition, Page 215 - 216; Goldfrank's Toxicologic Emergencies 8th edition, Page 1235 - 1236.